Bronchial artery supplies lungs up to:
1. Tertiary bronchioles
2. Respiratory bronchiole
3. Alveolar ducts
4. Terminal bronchiole

Correct answer: 2. Respiratory bronchiole

Explanation: Bronchial arteries carry oxygen to tracheobronchial tree and lung parenchyma and supplies till the level of respiratory bronchiole. Pulmonary arteries alone vascularize the further distal pathways, including alveolar ducts and the alveoli.